All are true about renal cell cancer except
1. Invades renal vein
2. Hematuria may occur
3. Arises from proximal convoluted tubule
4. More common in females

Correct answer: 4. More common in females

Explanation: Renal cell cancer is also known as hypernephroma/ Grawitz tumor It is the most common malignant cancer of the kidney affecting the poles of the kidney (more commonly upper pole). Males are more frequently affected (M:F ratio is 2 to 3:1) in the age group of 6-7th decade.